Ketosis is caused by
1. Excessine utilization of glucose
2. Over production of acetyl-CoA
3. Excessine secretia of insulin
4. Excessine intake of carbohydrates

Correct answer: 2. Over production of acetyl-CoA

Explanation: KETOSISNormally the rate of synthesis of ketone bodies by the liver is such that they can be easily metabolised by the extrahepatic tissues. Hence the blood level of ketone bodies is less than 1 mg/dl and only traces are excreted in urine (not detectable by usual tests).But when the rate of synthesis exceeds the ability of extrahepatic tissues to utilise them, there will be accumulation of ketone bodies in blood.This leads to ketonemia, excretion in urine (ketonuria) and smell of acetone in breath. All these three together constitute the condition known as ketosis.Causes for KetosisDiabetes Mellitus: Uncontrolled diabetes mellitus is the most common cause for ketosis. Even though glucose is in plenty, the deficiency of insulin causes accelerated lipolysis and more fatty acids are released into circulation. Oxidation of these fatty acids increases the acetyl CoA pool. Enhanced gluconeogenesis restricts the oxidation of acetyl CoA by TCA cycle since the availability of oxaloacetate is less.Starvation: In starvation, the dietary supply of glucose is decreased. Available oxaloacetate is channeled to gluconeogenesis. The increased rate of lipolysis is to provide alternate source of fuel. The excess acetyl CoA is converted to ketone bodies. The high glucagon level favors ketogenesis. The brain derives 60-75% of energy from ketone bodies under conditions of prolonged starvation. Hyperemesis (vomiting) in early pregnancy may also lead to starvation-like condition and may lead to ketosis.Ref: DM Vasudevan - Textbook of Biochemistry, 6th edition, page no: 144